Which of the following are stable cells:
1. The lining mucosa of the glands
2. Mesenchymal cells
3. Nerve cells
4. Stratified squamous epithelium of the oral cavity

Correct answer: 2. Mesenchymal cells

Explanation: Glandular organs of the body such as liver, kidney, pancreas, mesenchymal cells such as fibroblasts and smooth muscle and vascular endothelial cells are examples stable cells.